Cimetidine inhibits the metabolism of all of the following drugs except.
1. Phenytoin
2. Warfarin
3. Ketoconazole
4. Diazepam

Correct answer: 3. Ketoconazole

Explanation: Ans. (C) Ketoconazole(Ref: KDT 8th/e p698)Cimetidine is a potent inhibitor of microsomal enzymes. It prolongs the half lives of warfarin, theophylline, phenytoin, oral hypoglycemic agents, alcohol and benzodiazepines.